Unhappy triad doesn't Include injury to?
1. ACL
2. MCL
3. LCL
4. Medial meniscus

Correct answer: 3. LCL

Explanation: ANSWER: (C) LCLREF: Netter's Ortopedic Anatomy 1st Ed Ch 8,Yochum & Rowe's Essentials of SkeletalRadiology 3RD Ed Pg 959Indirect repeat Orthopedics 2013 Session 2Twisting force in a weightbearing knee often tears the medial meniscus, causing the well- recognized triad of MCL, ACL and medial meniscal injury described by O'Donoghue. This is known as unhappy triad.